Function of ADH is:
1. Water reabsorption
2. Water excretion
3. Na+ absorption
4. K+ secretion

Correct answer: 1. Water reabsorption